If a normal individual receives an insulin injection that lowers plasma glucose to 30 mg/dl, which of the following hormones will NOT be released?
1. ACTH
2. Epinephrine
3. Growth hormone
4. Aldosterone

Correct answer: 4. Aldosterone